Maximum amount of CSF is found in?
1. Ventricular system
2. Subarachnoid space
3. Epdural space
4. Sub-pial space

Correct answer: 2. Subarachnoid space

Explanation: CSF is a clear, colorless and slightly alkaline fluid which is almost cell-free.In an adult, the total volume of CSF is about 150 ml, out of which only 30 ml is in the ventricular system and the remainder is in the subarachnoid space.(Ref : Vishram Singh textbook of clinical neuroanatomy second edition pg 194)